A gardener has multiple vesicles on hand and multiple eruptions along the lymphatics. Most common fungus responsible is ?
1. Sporothrix schenckii
2. Cladosporium
3. Histoplasma
4. Candida

Correct answer: 1. Sporothrix schenckii

Explanation: Ans. is 'a' i.e., Sporothrix schenckii Multiple vesicles on hand and multiple eruptions along the lymphatics in a gardner suggest the diagnosis of cutaneous sporotrichosis.